Longest acting local anesthetic agent is -
1. Procaine
2. Lidocaine
3. Prilocaine
4. Dibucaine

Correct answer: 4. Dibucaine

Explanation: Ans. is 'd' i.e., Dibucaine Local Anesthetic agentsShort duration(< 30 min)Low potencyIntermediate duration (30-90 min)Intermediate potencyLong duration (> 120 min) High potencyChlorprocaine (shortest acting)LignocaincMepivacaineBupivacaineTetracaineProcainePrilocaineCocaineEtodicaineRopivacaineDibucaine (longest acting)